Angulated body cells are found in
1. Granular cell myoblastoma
2. Hodgkins disease
3. Pemphigus vulgaris
4. Hurler’s syndrome

Correct answer: 1. Granular cell myoblastoma